Action potential is generated in excitable cells. All the following are excitable cells, except:
1. Nerve cells
2. Neuroglial cells
3. Glands
4. Muscle

Correct answer: 2. Neuroglial cells

Explanation: The main difference between the nerve and the glial cells are the possession of axons and dendrites and the capacity to generate action potentials. Ref: Choudary Physiology, 6th Edition, Pages 7, 19